Urease positive organism -
1. Proteus
2. Streptococcus
3. Vibrio cholera
4. Pseudomonas

Correct answer: 1. Proteus

Explanation: Ans. is 'a' i.e., ProteusUrease positive bacteria* Proteus* Staph aureus* Morganella* Klebseilla* Nocardia* H. Pylori* Y. pseudotuberculosis* Y. enterocolitica* Cryptococcus (fungus)* Diphtheroids* Mycobacteria except MAC